pH of polycarboxylate liquid is:
1. 5
2. 7
3. 8
4. 1.7

Correct answer: 4. 1.7

Explanation: Biocompatibility
Pulpal response is classified as mild. Despite the initial acidic nature of polycarboxylate cement, the pH of the liquid is 1.0-1.07 and that of freshly mixed cement is 3.0-4.0. After 24 hours, pH of the cement is 5.0-6.0.
They are less irritant than zinc phosphate cement because:

The liquid is rapidly neutralized by the powder. The pH of polycarboxylate cement rises more rapidly than that of zinc phosphate.
Penetration of polyacrylic acid into the dentinal tubules is less because of its higher molecular weight and larger size. The histological reactions are similar to zinc oxide eugenol cements but more reparative dentine is observed with polycarboxylate.

Ref: Manappalil P;97